All of the following drugs can cause gynecomastia except
1. Digoxin
2. Amiloride
3. Cimetidine
4. Spiranolactone

Correct answer: 2. Amiloride

Explanation: Common side effects of amiloridehydrochloride include: nausea, vomiting, stomach or abdominal pain, loss of appetite, gas, diarrhea, headache, dizziness, Refer kDT 7/e p 589